Insulin causes all of the following except:
1. Glycogenesis
2. Glycolysis
3. Lipogenesis
4. ketogenesis

Correct answer: 4. ketogenesis

Explanation: Insulin leads to increased glucose uptake and glycogen synthesis. In adipose tissue, it increases glucose uptake and storage as fat and glycogen. It also inhibits lipolysis. It is an anabolic hormone (REF.Essential of medical pharmacology K D TRIPATHI 6 Edition, Page No - 257)